Which of the following is false about Nelson’s syndrome
1. skin pigmentation
2. Pituitary tumor
3. High ACTH  levels
4. None of the above

Correct answer: 4. None of the above